45 X, chromosomal compliment associated with:
1. Turner 's syndrome
2. Edward syndrome
3. Patau syndrome
4. Klinefelter syndrome

Correct answer: 1. Turner 's syndrome

Explanation: (Turner syndrome): Ref: 2216 - H (2341-H17th) Disorder Common chromosomal compliment Gonad External Genitalia Internal Genitalia Breast development * Klinefelter syndrome 47, XXY or 46 XY, 47 XXY Hyalinized testes Male Male Gynecomastia * Turner syndrome 45, X or 46 XX/ 45, X Streak gonad or immature ovary Female Hypoplastic female Immature female * Mixed gonadal dysgenesis 46 XY/45X Testis or streak gonad Variable usually ambiguous Variable Usually male * True hermaphroditism 46XY/46XX Testis & ovary or ovotestis Variable usually ambiguous Variable Gynecomastia